In which of the following conditions, MTP can be indicated -a) Pregnancy caused by rapeb) Husband is willing but mother is not agreeingc) If maternal health is in dangerd) Pregnancy after contraceptive failuree) Pregnant women have received cytotoxic drugs
1. bce
2. bde
3. acde
4. abde

Correct answer: 3. acde

Explanation: Pregnancy due to rape, danger to maternal health, receiving cytotoxic drugs (can cause fetal damage and risks of a born child with physical/mental abnormalities) and pregnancy due to contraceptive failure are indications for abortion under MTP act.